Which of the following is a false physical parameter during pregnancy?
1. It's a prothrombotic condition
2. Blood fibrinogen levels are increased
3. Clotting and bleeding times are reduced
4. There is lowering of serum protein levels

Correct answer: 3. Clotting and bleeding times are reduced

Explanation: On an average the non pregnant levels of blood fibrinogen is 260mg%. But in pregnancy it can reach an average value of 388 mg% (288 - 576 mg%) even then the clotting and bleeding times remains unchanged. Ref: Mudaliar and Menon's Clinical Obstetrics, 9th Edition, Page 41.